All of the following are given global prominence in the VISION 2020 goals, except -
1. Refractive errors
2. Cataract
3. Trachoma
4. Glaucoma

Correct answer: 4. Glaucoma